a male 35 yrs old who is known scizophrenic is on aripiprazole and metaclopramide since 3 months ,now patient was brought to the opd by the attenders complaining patient being static at places while walking and tremors on sitting . what is the drug of choice for the condition developed by the patient ?
1. amantidine
2. bromocriptine
3. entacopone
4. benzhexol

Correct answer: 4. benzhexol

Explanation: Drug Induced Parkinsonism . metaclopramide induced parkinsonism is more common with in 1month of using the drug . * A small number (around 7%) of people diagnosed with parkinsonism have developed their symptoms following treatment with particular medications. * Drugs - known as neuroleptic drugs - used to treat schizophrenia and other psychotic disorders block dopamine. These drugs are thought to be the biggest cause of drug-induced parkinsonism. * Dopamine is a chemical in the brain which allows messages to be sent to the parts of the brain that co-ordinate movement. * The symptoms of Parkinson's appear when the level of dopamine falls. * The symptoms of drug-induced parkinsonism tend to be static. Only in rare cases do they change in the manner that the symptoms of Parkinson's do. * Most people will recover within months, and often within hours or days, of stopping the drug that caused the dopamine block. ref : kd tripathi 8th ed